Cabbage odour urine is found in
1. Leucine catabolism defect
2. Valine catabolism defect
3. Tyrosinemia type 1
4. None

Correct answer: 3. Tyrosinemia type 1

Explanation: Tyrosinemia type 1 is due to a defect of hydrolase enzyme, in this disorder there occurs cabbage odor urine.